Chandler's index is associated with:
1. Round worm
2. Hook worm
3. Pin worm
4. Tape worm

Correct answer: 2. Hook worm

Explanation: Ans. B: Hook worm Morbidity and mortality from hookworm infection depend much on the worm load. Chandler worked out an index on the basis of an average number of hookworm eggs per gram of feces for the entire community, Chandler's index is still used in epidemiological studies of hookworm disease. By this index, worm loads in different population groups can be compared and also the degree of reduction of egg output after mass treatment.